Alkylating agents can cause:
1. Bladder cancer
2. Acute myelocytic leukaemia
3. Both
4. Prostate cancer

Correct answer: 3. Both

Explanation: Alkylating agent: Acute myelocytic leukemia, bladder cancer.
Androgens: Prostate cancer.